Which of the following antihypertensive drugs is contraindicated in pregnancy:
1. Labetalol
2. Hydralazine
3. Nifedipine
4. ACE inhibitors

Correct answer: 4. ACE inhibitors